In cholangitis, the organism mostly responsible is -
1. E.Coli
2. Streptococcus
3. E. Histolytica
4. Clostridium

Correct answer: 1. E.Coli